Erythromycin is given in intestinal hypomotility because
1. It increases bacterial count
2. It decreases bacterial count
3. It binds to adenylyl cyclase
4. It binds to motilin receptors

Correct answer: 4. It binds to motilin receptors

Explanation: Erythromycin stimulates motilin receptors in the g.i.Lthereby induces gastric contractions, hastens gastric emptying and promotes intestinal motility.